Which of the following antitubercular drugs is not hepatotoxic
1. Isoniazid
2. Rifampicin
3. Ethionamide
4. Streptomycin

Correct answer: 4. Streptomycin

Explanation: Refer KDT 6/e p743 Streptomycin and Ethambutol are not hepatotoxic Read carefully option (c) is Ethionamide AMD not Ethambutol